Which of the following tests is not required for the diagnosis of multiple sclerosis?
1. Lumbar puncture
2. Gadolinium-enhanced MRI
3. Visual evoked potential
4. Electronystagmogram

Correct answer: 4. Electronystagmogram

Explanation: Electronystagmogram(ENG) Measures normal eye movement and involuntary rapid eye movements called nystagmus . Checks the muscles, that control eye movements. Checks how well the eyes, inner ears , and brain help you keep your balance and position Revised McDonald criteria for diagnosis of MS following investigation should be done: 1. MRI (Gadolinium-enhanced): Plaques/Dawson Fingers 2. Lumbar puncture-CSF electrophoresis shows Oligo-clonal IgG bands. 3. Visual evoked potential(VEP): shows reduced amplitude of voltage generated due to plaques in optic nerve.